The mucosal lining of the vagina is composed ol cell :
1. Ciliated columnar
2. Pseudostratified columnar
3. Stratified squamous non keratinised
4. Transitional

Correct answer: 3. Stratified squamous non keratinised

Explanation: Stratified squamous non keratinised